All are atypical antipsychotic drugs except:
1. Clozapine
2. Risperidone
3. Olanzapine
4. Loxapine

Correct answer: 4. Loxapine